Implantation occurs at
1. 2-3 days
2. 6-7 days
3. 15-20 days
4. 20-25 days

Correct answer: 2. 6-7 days

Explanation: HUMAN EMBRYOLOGY-INDERBIR SINGH TENTH EDITION-PAGE NO:72In humans implantation begins on the 6th day after fertilization